A 14-year-old boy has difficulty in expressing himself in writing and makes frequent spelling mistakes, does not follow instructions and cannot wait for his turn while playing a game. He is likely to be suffering from
1. Intellectual disability
2. Lack of interest in studies
3. Specific learning disability
4. Examination anxiety

Correct answer: 3. Specific learning disability

Explanation: Specific Learning Disability (SLD) in youth is a neurodevelopmental disorderproduced by the interaction of heritable and environmental factors that influence the brain's ability to effeciently perceive or process verbal and non verbal information. It is characterised by persistent difficulty learning academic skills reading, written expression, that is inconsistent with the overall intellectual ability of a child. They find difficulty to keep up with their peers in certain academic subjects. SLD is associated with an increased risk of comorbid disorders, including ADHD, Communication disorders, Conduct disorders and Depressive disorders. Ref: Synopsis of Psychiatry, 11e, pg 1181.